Most popular media for mass education of general public is
1. Radio
2. Television
3. Newspaper
4. Internet

Correct answer: 2. Television

Explanation: Mass media are mainly a one-way communication (Didactic Methods):
– Television:
- Most popular of all media
- Creates awareness, influence public opinions and introduce new ways of life
- Raise levels of understanding
- Has much potential for health communication
- Not much opportunity for feedback and discussion
– Radio:
- Purely didactic medium
- Valuable aid in putting across health information
– Internet:
- Fast growing communication media
- Holds very large potential to become a major health education tool
– Newspapers:
- Most widely disseminated of all forms of literature
- Reach only to limited population (literates)
– Printed material:
- Can convey detailed information
- Produced in bulk at low cost, can be shared
– Direct mailing:
- New innovation in health communication
– Posters, billboards, signs:
- Can be displayed at public places
- Less effective in changing behaviour
– Health museums and exhibitions
– Folk media